Saddle ridge lap is usually indicated in areas of
1. Maxillary anterior area
2. Mandibular area
3. Maxillary posterior area
4. None of the above

Correct answer: 4. None of the above